Assessment of malnutrition is done by:-
1. Mid-arm circumference (MAC)
2. Body mass index
3. Weight for age
4. All of the above

Correct answer: 4. All of the above

Explanation: Assessment of: Nutritional status in children: weight for age (growth chart) > MAC Nutritional status in adults : body mass index Best indicator for growth & development in children - weight for age.